Termination of pregnancy in placenta previa is indicated in :
1. Active bleeding
2. Active labour
3. Fetal malformation
4. All of these

Correct answer: 4. All of these

Explanation: Ans. is a, b and c i.e. Active bleeding, Active labour and Fetal malformation